Glomerulonephritis in streptococcal infection is diagnosed by
1. Blood culture
2. Throat culture
3. ASO Titre
4. PCR

Correct answer: 3. ASO Titre